Medical sociology deals with
1. Health
2. Health behaviour
3. Medical institution
4. All of the above

Correct answer: 4. All of the above

Explanation: Medical sociology is a specialization wihthin the field of sociology.it mainly deals with health,health behaviour and medical institutions.It was irst proposed by Charles McIntire in 1894. Ref:(p.726) 25th edition Park's Textbook of Preventive and Social Medicine